The following are essential components of the intrinsic coagulation system -a) Pre-kallikreinb) High molecular weight kininogenc) Factor VIId) Tissue factore) Factor X
1. abe
2. bcd
3. cde
4. acd

Correct answer: 1. abe